All are contents of Femoral Triangle EXCEPT:
1. Femoral Artery
2. Femoral Vein
3. Superficial Inguinal Lymph Nodes
4. Nerve to Pectineus

Correct answer: 3. Superficial Inguinal Lymph Nodes

Explanation: The Superficial Inguinal Lymph Nodes are found deep to Camper's fascia and Superficial to Fascia Lata. Femoral Triangle is a sub-fascial space (fascia lata being the roof), it contains only the Deep Inguinal Lymph Nodes Femoral triangle- Lateral border:medial border of sartorius muscle Medial border: medial border of adductor longus muscle Base or superior border:inguinal ligament content-Femoral nerve, femoral artery, femoral vein, femoral canal (empty space), lymphatics(Deep Inguinal Lymph Nodes)